In low ovarian reserve,anti mullerian hormone level will be:
1. <1
2. 4-Jan
3. >7
4. >10

Correct answer: 1. <1

Explanation: Ans. A. <1AMH and ovarian reserveAMH of 1.0 has very poor ovarian reserveThe central concept for the measurement of blood levels of AMH to determine ovarian reserve is this: women with lower AMH levels have a lower ovarian reserve than women with high AMH levels. AMH is currently being used by fertility specialists to help predict women who may respond poorly to fertility medications and in general, couples who are less likely to be successful with fertility treatment.